Theirsch graft is:
1. Full thickness
2. Partial thickness
3. Myocutaneous graft
4. Osesomyocutaneous graft

Correct answer: 2. Partial thickness

Explanation: Ref: Bailey & Love's Short Practice of Surgery 25th Edition Plastic And Reconstructive Surgery Chapter 29 I pg 396-7Explanation:Grafts are tissues that are transferred without their blood supply, which therefore have to revascularise once they are in a new site.They include the following:Split-thickness skin grafts (of varying thickness). These are sometimes called Thiersch grafts. Fine punctate bleeding from a split-thickness skin graft donor site.Full-thickness skin grafts (Wolfe grafts). Used for smaller areas of skin replacement where good elastic skin that will not contract is required (such as fingers, eyelids, facial parts).Composite skin grafts (usually skin and fat, or skin and cartilage). Often taken from the ear margin and useful for rebuilding missing elements of nose, eyelids and fingertips.Nerve grafts-Usually taken from the sural nerve but smaller cutaneous nerves may be used.Tendon grafts taken from the palmaris longus or plantaris tendon (runs just anteromedial to the Achilles tendon ) and used for injury loss or nerve damage correction.